Life for as long as 10 years is of which IUCD :
1. Cu T200
2. Cu 250
3. Cu T380A
4. Profestase

Correct answer: 3. Cu T380A

Explanation: Cu T380A